A Down syndrome child is mentally retarded. All cytogenetic abnormalities may occurs except?
1. Deleted 21
2. Trisomy 21
3. Robesonia translocation
4. Mosaic

Correct answer: 1. Deleted 21

Explanation: Ans is 'a' i.e., Deleted 21